Which of the following is an inhibitor of dihydrofolate reductase?
1. Phenytoin
2. Alcohol
3. Yeast
4. Methotrexate

Correct answer: 4. Methotrexate

Explanation: Drugs causing folate deficiency